Dentin formed through out the life is
1. Sclerotic dentin
2. Secondary dentin
3. Reparative dentin
4. All of the above

Correct answer: 2. Secondary dentin